All are true regarding G protein Except?
1. It have a trimeric structure
2. It is activated by GTP binding
3. Alpha subunit has GTPase activity
4. Active conformation has all three subunits

Correct answer: 4. Active conformation has all three subunits

Explanation: G Protein have trimeric structure with alpha,beta and gamma subunits.But activated form has only GTP bound alpha subunit-GTP-alpha. The action is terminated when the GTPase activity of alpha subunit hydrolyses GTP to GDP.ADP ribosylation of alpha subunit leads to inhibition of GTPase activity. Ref:Murray R.K. (2011). Chapter 46. Intracellular Traffic & Sorting of Proteins. In D.A. Bender, K.M. Botham, P.A. Weil, P.J. Kennelly, R.K. Murray, V.W. Rodwell (Eds), Harper's Illustrated Biochemistry, 29e.